Thiazide diuretic does not cause:
1. Hyper calcaemia
2. Hypo magnesemia
3. Hypernatremia
4. Hyperuricemia

Correct answer: 3. Hypernatremia

Explanation: Complications of the high ceiling and thiazide diuretics- loss of sodium, potassium, magnesium in the urine Hypokalemia Dilutional hyponatremia Hearing loss Hyperuricemia HYper calcemia, hyperglycemia, and hyperlipidemia Magnesium depletion ( Essentials of Medical Pharmacology, K.D Tripathi,6th edition, page 566 )